All are used in bronchial asthma, except :
1. Salbutamol
2. Morphine
3. Aminophylline
4. Steroid

Correct answer: 2. Morphine

Explanation: Answer is B (Morphine) Morphine is contraindicated in asthma because it causes constriction of bronchial muscle by causing histamine release.